A 42-year-old female is admitted to the hospital with dyspnea. Imaging reveals severe mitral valve regurgitation. Which of the following structures prevents regurgitation of the mitral valve cusps into the left atrium during systole?
1. Crista terminalis
2. Crista supraventricularis
3. Pectinate muscles
4. Chordae tendineae

Correct answer: 4. Chordae tendineae

Explanation: The chordae tendineae are fibrous cords that connect papillary muscles to valve leaflets. The restraint provided by these cords on the valve leaflets prevents the prolapse of the mitral valve cusps into the left atrium. The crista terminalis is a ridge that runs from the opening of the inferior vena cava to the superior vena cava. Trabeculae carneae are irregular ridges of myocardium that are present within the ventricles.